Which disclosing solution differentiates between mature and newly formed plaque:
1. Iodine
2. Erythrosine
3. Two tone dye solution
4. Mercurochrome

Correct answer: 3. Two tone dye solution